Basanti devi 45 years old women presents with hot flushes after stopping of menstruation. 'Hot Flush' can be relieved by administration of following agents:
1. Ethinyl estradiol
2. Testosterone
3. Fluoxymesteron
4. Danazol

Correct answer: 1. Ethinyl estradiol